Cervical smear fixation is done by :
1. Ethyl alcohol
2. Acetone
3. Xyline
4. Formalin

Correct answer: 1. Ethyl alcohol

Explanation: Ethyl alcohol Pap smear is the most effective method of screening for cervical cancer. Technique of preparing pap smear : A speculum is introduced in the vagina without lubricant and material from cervix is collected using Ayer's spatula. Whole of the squamocolumnar junction has to be scrapped i.e. rotate the spatula through 360deg and spread it on a slide (1s1 slide) and material is also collected from posterior wall of vagina (2" slide) which acts as a control. The glass slide is not air rie as it gets damaged. The slide is fixed using ethyl alcohol. The main problem with conventional pap smears are that they are of variable thickness and may get obscured by mucus, blood and other debris. This results in cell and nuclear overlap, causing problems with detection and interpretation. To overcome this problem - Liquid based cytology has been developed. Liquid based cytology : Advantages ? They decrease the number of false negative results. They decrease the number of inadequate smear collection. Can also be used for HPV typing and testing. Method : From Gynaecology for PG and Practitioners 2/e, p 620 - A plastic sampling device is used to collect the cells in the usual manner but instead of smearing it on a glass slide, the device is rinsed in a buffered methanol solution for transfer to the laboratory. It is subsequently tittered' to separate mucus and debris.